Microaerophilic bacteria:
1. Campylobacter
2. Vibrio cholera
3. Pseudomonas
4. Salmonella

Correct answer: 1. Campylobacter

Explanation: Ans. (a) Campylobacter Microaerophilic organism are organisms that require oxygen to survive, but in concentration less than that present in atmosphere, i.e. less than 21%. Example include: - Treponema pallidum - Helicobacter pylori - Borrelia burgdorferi - Campylobacter